Type of fibers found in cementum is:
1. Intrinsic fibers
2. Extrinsic fibres.
3. Both of the above.
4. None.

Correct answer: 3. Both of the above.